Dermatomyositis associated with Anti-Mi2 antibodies shows strong association with
1. Heliotrope rash
2. Mechanic hands
3. Butterfly rash
4. Discoid rash

Correct answer: 1. Heliotrope rash

Explanation: Dermatomyositis is a systemic autoimmune disease that typically presents with proximal muscle weakness and skin changes. Certain autoantibodies tend to be associated with specific clinical features:Anti-Mi2 antibodies (directed against a helicase implicated in nucleosome remodeling) show a strong association with prominent Gottron papules and heliotrope rash )Anti-Jo1 antibodies (directed against the enzyme histidyl t-RNA synthetase) are associated with interstitial lung disease, nonerosive arthritis, and a skin rash described as "mechanic's hands."Anti-P155/P140 antibodies (directed against several transcriptional regulators) are associated with paraneoplastic and juvenile cases of dermatomyositis.Butterfly and Discoid rash are seen in SLERef: Robbins and Cotran Pathologic Basis of Disease; 9th edition; Chapter 27; Peripheral Nerves and Skeletal Muscles; Page no: 1238